In one single visit, a 9 month-old, un-immunized child can be given the following vaccination ?
1. Only BCG
2. BC DPT-1, OPV-1
3. DPT-1, OPV-1, Measles
4. BCG, DPT-1, OPV-1, Measles

Correct answer: 4. BCG, DPT-1, OPV-1, Measles

Explanation: Ans. is `d' i.e., BCG, DPT-1, OPV-1, Measles Delayed Immunizations (Under National Immunization Schedule): o BCG: Is administered upto 1 year of age, without Mantoux Test (Direct BCG). Beyond age 1 year, it is recommended after prior Mantoux Test (Indirect BCG) OPV: Is administered upto 5 years of age; Pulse Polio immunization (PPI) is over and above routine immunization o DPT: Is administered upto 2 years of age; 'After that age, risk of neuro-toxicity is increased' due to Pertussis component of vaccine, So if need arises, dose(s) of DPT is replaced with dose(s) of DT HepB: Is administered upto 1 year of age o Measles: Is administered upto 5 years of age. If a child has already suffered from measles disease before immunization, there is no need for measles immunization Vitamin-A: Is administered upto 5 years of age o DT: Is administered upto 7 years of age. For adults, if need arises, dT Vaccine is given (2 doses, one month apart, and booster after 1 year). Age limits for delayed immunization in NIS India Vaccine Age limit BOG Upto 1 year of age (Direct BCG) OPV Upto 5 years of age DPT Upto 2 years of age HepB Upto 1 year of age Measles Upto 5 year of age Vitamin A Upto 5 year of age* DT Upto 7 year of age TT NO AGE LIMIT